ASHA is posted at:
1. Village level
2. Primary Health Centre
3. Community Health Centre
4. Subcentre

Correct answer: 1. Village level

Explanation: ASHA stands for "Accredited Social Health Activist" and is created by the NHRM (National Rural Health Mission) which was formed by the Government of India on 5th April, 2005 for a period of seven years (2005-2012). The ASHA is employed in the rural area at the village level. Ref: Park textbook of Preventive and Social Medicine, 19th Edition, Pages 364-366.